In herpes primary lesion is
1. ulcer
2. papule
3. vesicle
4. Bullae

Correct answer: 3. vesicle